Mycobacterium TB can be differentiated from other mycobacterium by-
1. Production of niacin
2. arylsulphate test
3. Coagulase test
4. Bile solubility test

Correct answer: 1. Production of niacin

Explanation: Ans. is 'a' i.e., Production of niacin